Sperm attains motility in:
1. Vas deferens
2. Rete testis
3. Seminal vesicle
4. Epididymis

Correct answer: 4. Epididymis

Explanation: Although initially only slightly motile, spermatozoa obtains full motility in the epididymis Development of the spermSpermatogenesis is the process of spermatagonia (diploid) mature into spermatozoa (haploid).Spermioogenesis is a part of spermatogenesis where round spermatids mature into the mature spermatozoa form.Spermatozoa acquire some motility only after passing through the epididymisThe secretions of the epididymis, seminal vesicle and the prostate have a stimulating effect on sperm motility, but the sperm becomes fully motile only after ejaculationContinuously throughout life occurs in the seminiferous tubules in the male gonad-testis.At puberty spermatagonia activate and proliferate (mitosis).About 48 days from entering meiosis until morphologically mature spermatozoaAbout 64 days to complete spermatogenesis, depending reproduction time of spermatogoniaFollicle stimulating hormone (FSH) - stimulates the spermatogenic epitheliumLuteinizing-hormone (LH) - stimulates testosterone production by Leydig cells Stages of spermatozoa developmentSpermatogonia - are the first cells of spermatogenesisPrimary spermatocytes - large, enter the prophase of the first meiotic divisionSecondary spermatocytes - small, complete the second meiotic divisionSpermatid - immature spermatozoaSpermatozoa - differentiated gamete